Double rise of temperature in 24 hours is seen in case of-
1. Kala Azar
2. Malaria
3. TB
4. Hodgkin's lymphoma

Correct answer: 1. Kala Azar